A woman with infertility receives an ovary transplant from her sister who is an identical twin. What type of graft is it?
1. Allograft
2. Autograft
3. Xenograft
4. Isograft

Correct answer: 4. Isograft